Amount of drug left after four plasma half–lives is:
1. 6.25%
2. 12.50%
3. 25%
4. 50%

Correct answer: 1. 6.25%